Skeletal muscle use the
1. GLUT-1 transporter
2. GLUT-2 transporter
3. GLUT-3 transporter
4. GLUT-4 transporter

Correct answer: 4. GLUT-4 transporter

Explanation: The entry of glucose into skeletal muscle is increased during exercise in the absence of insulin by causing an insulin-independent increase in the number of GLUT 4 transporters in muscle cell membranes.(REF.GANONG'S REVIEW OF MEDICAL PHYSIOLOGY 23rd EDITION page no.331)